Virus implicated in Burkitt's lymphoma is ?
1. EB virus
2. Arbo virus
3. Picorna virus
4. Coxsackie virus

Correct answer: 1. EB virus

Explanation: Ans. is 'a' i.e., EB virus